Inferior parathyroid develops from which Pharyngeal Pouch -
1. 1st
2. 2nd
3. 3rd
4. 4th

Correct answer: 3. 3rd

Explanation: Ans. is 'c' i.e., 3rd o Parathyroid gland, 4 in number (a superior pair and an inferior pair) are located on the posterier border of thyroid gland. o The superior parathyroids are also referred to as 'parathyroid IV' because they develop from the fourth pharyngeal pouch, and inferior parathyroids are also referred to as 'parathyroid III' because they develop from the third pharyngeal pouch. o Each parathyroid is oval or lentiform in shape, measuring 6 4 2 mm, and each weighs about 50 mg.